Which is NOT seen in urine in obstructive jaundice?
1. Urobilinogen
2. Direct bilirubin
3. Both of the above
4. None of the above

Correct answer: 1. Urobilinogen

Explanation: Normally, there are mere traces of urobilinogen in the urine. In complete obstruction of the bile duct, no urobilinogen is found in the urine, since bilirubin has no access to the intestine, where it can be converted to urobilinogen. In this case, the presence of bilirubin (conjugated) in the urine without urobilinogen suggests obstructive jaundice, either intrahepatic or posthepatic. Ref: Murray R.K. (2011). Chapter 31. Porphyrins & Bile Pigments. In D.A. Bender, K.M. Botham, P.A. Weil, P.J. Kennelly, R.K. Murray, V.W. Rodwell (Eds), Harper's Illustrated Biochemistry, 29e.